Flat vegetations in pockets of values are due to -
1. Rheumatic heart disease
2. Libman sacks Endocarditis
3. NBTE
4. Infective endocarditis

Correct answer: 2. Libman sacks Endocarditis